Dengue is transmitted by:
1. Anopheles
2. Culex
3. Mansonia
4. Aedes

Correct answer: 4. Aedes

Explanation: Ans. D: Aedes Dengue is transmitted by the bite of an Aedes mosquito infected with dengue virus. Symptoms appear 3-10 days after the infective bite. Dengue fever is a febrile illness that affects infants, young children and adults. Symptoms range from a mild fever, to incapacitating high fever, with severe headache, pain behind the eyes, muscle and joint pain, and rash. There are no specific antiviral medicines for dengue. It is important to maintain hydration. Use of acetylsalicylic acid (e.g. aspirin) and non steroidal anti-inflammatory drugs (e.g. Ibuprofen) is not recommended. Dengue haemorrhagic fever (fever, abdominal pain, vomiting, bleeding) is a potentially lethal complication, affecting mainly children.